First stage of lung development is
1. Pseudoglandular
2. Tubular
3. Alveolar
4. Canalicular

Correct answer: 1. Pseudoglandular

Explanation: Lung organogenesis is part of the embryonal period. While fetal lung development consists in the pseudoglandular, canalicular and saccular stages, postnatal lung development comprises the stages of classical and continued alveolarization, as well as of microvascular maturation. The phases of lung development are mainly based on morphological criteria. Because most processes during lung development start proximal and extend into the periphery, all phases of lung development overlap . Ref - pubmed.com